Risk factors for malignant change in an asymptomatic patient with a gall bladder polyp on ultrasound include all of the following except
1. Age > 60 years
2. Rapid increase in size of polyp
3. Size of polyp > 5 mm
4. Associated Gall stones

Correct answer: 3. Size of polyp > 5 mm

Explanation: Gall bladder polyp more than 10 mm in size needs surgical intervention as the risk for developing malignancy is greater.Other risk factors include age>60 yrs,association with gallstones,rapid increase in size of polyp,symptomatic,sessile polyp. Reference:SRB's manual of surgery,5th edition,page no:658.